The direction of resorption of the maxillary ridge is:
1. Downwards and buccally
2. Upwards and lingually
3. Downwards and lingually
4. Upwards and buccally

Correct answer: 2. Upwards and lingually

Explanation: The maxilla resorbs in a superioposterior direction, and the mandible resorbs in an inferioanterior direction.

This will lead to confinement of maxillary arch within the mandibular arch in longstanding edentulous situations, giving a pseudo-class III ridge relationship.